Most important receptors involved with schizophrenia are?
1. GABAA
2. GABA,,
3. DZd
4. 5-HT

Correct answer: 3. DZd

Explanation: Ans. C. DZdDopamine hypothesis is the most accepted hypothesis for schizophrenia. There is hyperactivity of dopaminergic system. This hypothesis is supported by :Amphetamine and cocaine which release dopamine in central synapses induce schizophrenia like symptoms; andAntipsychotic drugs control the schizophrenic symptoms by blocking dopamine (D2) receptors.